DEC provocation test is done in:
1. Filariasis
2. Strongyloidiasis
3. Taeniasis
4. Trichuriasis

Correct answer: 1. Filariasis

Explanation: Ans. A. FilariasisDEC provocation test is done to detect microfilaria in blood anytime which are otherwise seen after 10 pm in the night.